Hotchkiss terrible triad does not include which of the following injuries?
1. Head of radius fracture
2. Posterior elbow subluxation
3. Olecranon fracture
4. Fracture of coronoid process

Correct answer: 3. Olecranon fracture

Explanation: A Hotchkiss traumatic injury pattern of the elbow characterized by elbow dislocation(often associated with posterolateral dislocation or LCL injury) radial head or neck fracture coronoid process fracture Olecranon fracture is not the part of terrible triad.